One of the common fractures that occur during boxing by hitting with a closed fist is
1. Monteggia fracture dislocation
2. Galeazzi fracture dislocation
3. Bennett's fracture dislocation
4. Smith's fracture

Correct answer: 3. Bennett's fracture dislocation

Explanation: It is an oblique intra-articular fracture of the base of the first metacarpal with subluxation or dislocation of the metacarpal It is sustained as a result of a longitudinal force applied to the thumb. Bennett Fracture * Treatment Non-operative closed reduction & cast immobilization * Indications : non-displaced fractures technique * reduction maneuver with traction, extension, proration. and abduction Ref : Maheshwari and Mhaskar 9th ed pg 117.